The sensation of creping bugs over the body is a feature of poisoning:
1. Cocaine
2. Diazepam
3. Barbiturates
4. Brown sugar

Correct answer: 1. Cocaine

Explanation: A i.e. Cocaine